Glossodynia is
1. Pain in the tongue
2. Burning of the tongue
3. Swelling of the tongue
4. White patch on tongue

Correct answer: 1. Pain in the tongue